All the following are more in CSF compared to plasma except
1. Mg++
2. Cl-
3. HCO3-
4. Glucose

Correct answer: 4. Glucose

Explanation: Same in CSF and plasma
-        Osmolarity, Sodium concentration
More is CSF than plasma
-        Cl-, Mg+2, HCO3-, PCO2, creatinine
Less in CSF than plasma
-        K+, Ca++, pH, protein, glucose, inorganic phosphate, urea, uric acid and cholesterol